Muscle spindle detects ?
1. Tension
2. Length
3. Proprioception
4. Pressure

Correct answer: 2. Length

Explanation: Ans. is 'b' i.e., Length